Miculicz and Russel body upon biopsy is seen in:
1. Rhinophyma
2. Rhinoscleroma
3. Rhinosporidiosis
4. Rhinolith

Correct answer: 2. Rhinoscleroma

Explanation: Ans. (b) RhinoscleromaRef: Dhingra's ENT5th ed. /172RHINOSCLEROMA* Caused by gram negative coccobacillus- Klebsiella Rhinoscleromatis.* It passess through 3 stages: Catarrhal, Granulomatous and Cicatricial.* Causes woody infiltration of upper lip, so it is also known as Woody Nose.* Upon biopsy characteristic cells seen are: Miculiczs cell and Russel Bodies.* Tx: Streptomycin (lg/day) and tetracycline (2g/day) are given together for 4-6 weeks.RHINOPHYMA* It is due to hypertrophy of sebaceous glands of nasal tip.* Associated with Acne Rosacea.* Nose becomes big and ugly, hence also known as Potato Nose.RHINOUTH* It is old, calcified foreign body in nose.* Present with foul smelling, one sided yellowish nasal discharge.RHINOSPORIDIOSIS* Caused by Rhinosporidiosis Seeberi* Present as strawberry/mulberry polyp in the nose.* It has very higher tendency to bleed. Hence also known as Bleeding Polyp.